Thoracotomy is indicated in all the following except
1. Penetrating chest injuries
2. Rapidly accumulating haemothorax
3. Massive air leak
4. Pulmonary contusion

Correct answer: 4. Pulmonary contusion

Explanation: Ans. d (Pulmonary contusion). (Ref. Bailey & Love, Short Practice of Surgery, 25th/pg. 341)CHEST INJURIES# Directly or indirectly involved in 50% of trauma deaths in the USA# About 80% of chest injuries can be managed closed# A chest radiograph is the investigation of first choice# A spiral CT scan provides rapid diagnosis in the chest and abdomen# A chest drain can be diagnostic as well as therapeutic# If there is an open wound insert a chest drain# Do not close a sucking chest wound until a drain is in place# If bleeding persists, the chest will need to be opened.# One of the most vital parts of management of patient with chest trauma is to identify any threat to life mentioned below. These are surgical emergencies & operative treatment required.Immediately life threatening injuriesPotentially life threatening injuries# Airway obstruction# Aortic injuries# Tension pneumothorax# Tracheobronchial injuries# Pericardial tamponade# Myocardial contusion# Open pneumothorax# Rupture of diaphragm# Massive haemothorax# Oesophageal injuries# Flail chest# Pulmonary contusion